Renin antagonist is
1. Losartan
2. Benazepril
3. Remikiren
4. Imidapril

Correct answer: 3. Remikiren

Explanation: Direct renin antagonists are aliskiren, remikiren - could be used for HTN in the future- new drugs aliskiren- oral, remikiren- IV side effects- hypotension, hyperkalemia REF KD Tripathi 8th ed